Optic cup is derived from ?
1. Neural ectoderm
2. Surface ectoderm
3. Mesoderm
4. Neural crest

Correct answer: 1. Neural ectoderm

Explanation: Ans. is 'a' i.e., Neural ectoderm